Piebaldism refers to –
1. Androgenetic alopecia
2. Erythema nodosum leprosum
3. Associated with white forelock
4. None of the above

Correct answer: 3. Associated with white forelock

Explanation: Piebaldism is a hypopigmented disorder which is present since birth and is characterized by congenital white forelock and hypopigmented or depigmented macules on the central part of the forehead, ventral trunk, and upper & lower extremities. Involvement is bilaterally symmetrical.